HIV induced nephropathy is more common in which of the following subsets of HIV patients
1. Homosexuals
2. Hetrosexuals
3. Intravenous drug abusers
4. Congenital HIV

Correct answer: 3. Intravenous drug abusers